Pulled elbow means -
1. Fracture of head of radius
2. Subluxation of head of radius
3. Fracture dislocation of elbow
4. Fracture ulna

Correct answer: 2. Subluxation of head of radius

Explanation: Ans. is 'b' i.e., Subluxation of head of radius Pulled elbowo If a young child is lifted by the wrist, the head of the radius may be pulled partly out of the annular ligament, i.e., subluxation of the head of the radius.o Ir occurs when forearm is pronated, elbow is extended and longitudinal traction is applied to the hand or wrist, e.g., lifting, spinning or swinging a child with wrist or hand. Pulled elbow most commonly occurs between the age of 2-5 years.Clinical features of pulled elbowo History of sudden axial pull on extended elbow.o Immediately child starts crying and is unable to move the affected elbow.o The forearm is held in pronation and extension and any attempt to supinate is resisted,o Child does not allow to touch the affected limb,o X-ray seems to be normal.Treatment of pulled elbowo Treatment is simple. The child's attention is diverted, the elbow is quickly supinated and then slightly flexed.o This reduces the subluxation or dislocation and the radial head is relocated with a snap.